Which of the following enzymes is involved in the process of both cholesterol and ketone bodies metabolism
1. HMG CoA reductase
2. HMG CoA synthase
3. HMG CoA lyase
4. Thiokinase

Correct answer: 2. HMG CoA synthase

Explanation: HMG CoA synthase 

The first two reactions in the cholesterol synthetic pathway and ketone bodies synthesis are the same


First, two acetyl CoA molecules condense to form acetoacetyl CoA in the presence of thiolase.
Next, the third molecule of acetyl-CoA is added to produce HMG-CoA, a reaction catalyzed by enzyme HMG-CoA synthase.


Liver parenchymal cells contain two isoenzymes of HMG-CoA synthase:-

(1) Cytosolic enzyme → For cholesterol synthesis
Mitochondrial enzyme → For ketone body synthesis